Cervix: Corpus ratio before puberty is
1. 1:02
2. 2:01
3. 1:03
4. 3:01

Correct answer: 2. 2:01

Explanation: The cervix and uterine body ratioAt birth 2:1Menarche 1:1Thereafter the enlargement of body occurs rapidly, the ratio becomes 1:2Ref: D.C. Dutta's Textbook of Gynaecology, 6th edition, page no: 50